All the following are true of Craniopharyngioma except
1. Derived from Rathke's pouch
2. Contains epithelial cells
3. Present in sella or infra-sellar location
4. Causes visual disturbances

Correct answer: 3. Present in sella or infra-sellar location

Explanation: Answer is C (Present in sella or infrasellar location): Some of these lesions arise from the sella, but most are suprasellar Q (Not infra-sellar). They arise from near the pituitary stalk and commonly extend into the supra sellar cistern. Craniopharyngiomas arise from Rathke's pouch and constitute 3-5% of all intracranial neoplasms. Some of these lesions arise from the sella, but most are suprasellar Q (Not infra-sellar). They arise from near the pituitary stalk and commonly extend into the supra sellar cistern. Consists of nests of cords of stratified squamous or columnar epithelium embedded in a spongy reticulum -- Robbins 61h/1129 Visual complaints are the presenting feature in about 80% of adults and 60% of children.